In magil circuit airflow is -
1. 1/2 of minute volume
2. equal to M.V.
3. 2 X M.V.
4. 3 X M.V.

Correct answer: 2. equal to M.V.

Explanation: In Magills it fresh gas flow is equal to minute volume. In Bains co-axial system or type D ,fresh air flow required to prevent rebreathing is 1.6minute volume